Lymph node metastasis is common in   a) Osteosarcoma  b) Fibrous histiocytoma  c) Angiosarcoma  d) Rhabdomyosarcoma
1. abc
2. acd
3. cd
4. bd

Correct answer: 3. cd